A patient received a severe blow to the lateral side of the head, resulting in an epidural hematoma. Which of the following blood vessels was most likely torn?
1. Anterior cerebral artery
2. Middle cerebral artery
3. Middle meningeal artery
4. Superficial temporal artery

Correct answer: 3. Middle meningeal artery

Explanation: Middle meningeal artery